Supercoiled DNA is separated by relaxed DNA by
1. ELISA
2. Gel electrophoresis
3. DNA footprinting
4. DNA fingerprinting

Correct answer: 2. Gel electrophoresis

Explanation: Gel electrophoresis is a laboratory method used to separate mixtures of DNA, RNA, or proteins according to molecular size. In gel electrophoresis, the molecules to be separated are pushed by an electrical field through a gel that contains small pores.ELISA (enzyme-linked immunosorbent assay) is a plate-based assay technique designed for detecting and quantifying substances such as peptides, proteins, antibodies, and hormones.DNA fingerprinting is a test to identify and evaluate the genetic information--called DNA(deoxyribonucleic acid)--in a person's cells.DNA footprinting is a method of investigating the sequence specificity of DNA-binding proteins in vitro. This technique can be used to study protein-DNA interactions both outside and within cells.